The drug found to be beneficial in amyotrophic lateral sclerosis is :
1. Riluzole
2. Methylprednisolone
3. Hydroxyurea
4. None of the above

Correct answer: 1. Riluzole